Child rights are guaranteed in which article of the constitution – a)  Article 24b)  Article 28c)  Article 35d) Article 42e)  Article 45
1. ae
2. b
3. ab
4. ad

Correct answer: 1. ae

Explanation: Articles on Child rights in our Constitution: